t(2,8) is characteristically seen with
1. PreB cell lymphoma
2. PreT cell lymphoma
3. Burkitt's lymphoma
4. Mantle cell lymphoma

Correct answer: 3. Burkitt's lymphoma

Explanation: Burki lymphoma t(8;14) ------most common, t(2;8), t (8;22)